Respiratory system infections in HIV is seen with:
1. Streptococcus
2. H.influenzae
3. Pneumocystii
4. All of the above

Correct answer: 4. All of the above

Explanation: Ans. D: All of the above Pulmonary disease is one of the most frequent complications of HIV. The most common manifestation of pulmonary disease is pneumonia. The two most common cause of pneumonia are bacterial infections (S.pneumoniae and H.influenzae) and the unicellular fungus P.jiroveci infection.